While making impression of flabby fibrous tissues on maxillary ridge for complete denture prosthesis, care is taken to
1. use mucostatic impression technique
2. use selective pressure technique of impression making
3. use a close fitting tray
4. follow normal procedure

Correct answer: 1. use mucostatic impression technique